Burkholderia cepacia is infrequently seen in?
1. Pools
2. Plants
3. Soil
4. Air

Correct answer: 4. Air

Explanation: ANSWER: (D) AirREF: Jawetz's 24th ed chapter 17thBurkholderia cepacia is 'an environmental organism that is able to grow in water, soil, plants, animals, and decaying vegetable materials